Most powerful oxygen free radical is:
1. Hydroxyradical
2. Hydrogen peroxide
3. Superoxide radical
4. Both 1 & 2

Correct answer: 1. Hydroxyradical

Explanation: Most powerful oxygen free radical is Hydroxyradical:

Least powerful Reactive Oxygen species is Hydrogen peroxide.
Precursor of all reactive Oxygen species is Superoxide radical.
H2O2 is not a free radical but a ROS.

Reference- Review of biochemistry by Rebecca James Perumcheril Pg-411